Rosenthal fibres are -
1. Intranuclear inclusions
2. Intracytoplasmic inclusions
3. Present extracellularly
4. Part of cell membrane

Correct answer: 2. Intracytoplasmic inclusions

Explanation: Rosenthal fibers are beaded, elongated, or corkscrew-shaped intracytoplasmic inclusions measuring approximately 10-40 cm in diameter.
They are identified occasionally in astrocytes associated with intense fibrillary gliosis.
These have been described in reactive tissue (such as the highly gliotic tissue surrounding cysts and vascular malformations), in neoplasms (such as juvenile pilocytic astrocytomas), and Alexander disease.